For effective protection after unprotected intercourse, one single tablet of levonorgestrel 0.75 mg is taken already, when to take next tablet?
1. 1 tablet after 24 hours
2. 1 tablet after 12 hours
3. 2 tablet after 24 hours
4. 2 tablet after 12 hours

Correct answer: 2. 1 tablet after 12 hours

Explanation: ANS. BEmergency contraception:1. Yuzpe method (within 72 hours: High dose OCP 2 + 2 (12 hours apart) or low dose OCP 4 + 4 (12 hours apart).2. LNG 0.75 mg 1 tab immediately, 2nd tab after 12 hours.3. Mifepristone (RU 486).4. Ulipristal 30 mg tab--5 days.5. Copper-TIUDImages of copper containing IUDCU-T380AImage of Mirena (total LNG is 52 mg and is released at a rate of 20 mg/ day for a period of 5 years)